Which is a GABA transaminase inhibitor ?
1. TCA
2. Sertaline
3. Valproate
4. Gabpentin

Correct answer: 3. Valproate

Explanation: Ans. is 'c' i.e., Valproate Mechanism of action Facilitation of GABA mediated C1 channel opening Barbiturates and benzodiazepines bind to GABAAreceptor and open Cl- channel. Valprote and vigabatrine inhibit enzyme GABA transaminase which degrades GABA r conc. of GABA. Tiagabine inhibits the uptake of GABA into the neurones by inhibiting GAT-1. Gabapentine enhances the GABA release from synaptic vesicles.